Ceruloplasmin binds
1. Iron
2. Copper
3. Zinc
4. Manganese

Correct answer: 2. Copper

Explanation: Ceruloplasmin -Transport of copper(table no32-6).(REF: GANONG'S REVIEW OF MEDICAL PHYSIOLOGY 23rd EDITION page no.532)